Commonest cause for grommet insertion is
1. Secretory otitis media
2. Otosclerosis
3. CSOM
4. Cholesteatoma

Correct answer: 1. Secretory otitis media

Explanation: The main pathology in Serous otitis media is effusion, which can be managed by drainage. Insertion of grommet in infection can lead to foreign body granuloma. www.mydr.com.au Tympanostomy tube, also known as a grommet or myringotomy tube, is a small tube inserted into the eardrum in order to keep the middle ear aerated for a prolonged period of time, and to prevent the accumulation of fluid in the middleear. Re: Textbook of Ear, Nose and Throat, Dhingra, 6th Edition; Pg no: 396